Interstitial keratitis may be associated with:
1. Congenital syphilis
2. Malaria
3. Sarcoidosis
4. All of the above

Correct answer: 4. All of the above

Explanation: Ans. All of the above